Mutarotation refers to change in
1. pH
2. Optical rotation
3. Conductance
4. Chemical properties

Correct answer: 2. Optical rotation

Explanation: Mutarotation refers to the change in the specific optical rotation representing the interconversion of a- and b- anomers of D-glucose to an equilibrium. Ref: Biochemistry by U. Satyanarayana 3rd edition Pgno : 14